Penrose drain is
1. Simple rubber tube opens at one end
2. Simple rubber tube opens at both ends
3. Modified corrugated rubber drain
4. Modified Foley's Catheter

Correct answer: 2. Simple rubber tube opens at both ends